IgE receptors are present on
1. Mast cells
2. NK cells
3. B cells
4. Histiocytes

Correct answer: 1. Mast cells

Explanation: Ref Robbins 9/e p201 Type 1 hypersensitivity is a rapid immunological reaction occuring in a previously sensitized individual that is triggered by the binding of an antigen to IgE antibody on the surface of mast cells